Ghrelin is responsible for -
1. Stimulation of appetite
2. Suppression of appetite
3. Stimulation of of sleep
4. Suppression of sleep

Correct answer: 1. Stimulation of appetite

Explanation: Ghrelin, secreted from oxyntic glands, stimulates acid secretion but also appetite and gastric emptying . Ref - Davidsons 23e p767